Postnatally when is the growth velocity maximum?
1. In the first year of life
2. In the second year of life
3. In the seventh year of life
4. In adolescence

Correct answer: 1. In the first year of life

Explanation: Postnatally there are 2 periods of accelerated growth: first year of life and growth spurt during puberty.